Most common pathological features in diabetes mellitus is :
1. Papillary necrosis
2. Diffuse glomerulosclerosing
3. Renal atherosclerosis
4. Chronic pyelonephritis

Correct answer: 2. Diffuse glomerulosclerosing

Explanation: Answer is B (Diffuse glomerulosclerosis) Dif fuse glomerular lesions are the most common - Harsh Mohan The morphological changes in Glomeruli is diabetic glomerulosclerosis include: Capillary basement membrane thickening "The earliest morphological abnormality in diabetic nephropathy is thickening of basement membrane" (and expansion of mesangium due to accumulation of extracellular matrix) Diffuse glomerulo sclerosis "Diffuse glomerular lesions are the most common". Nodular glomerulo sclerosis also called intercapillary glomerulosclerosis or kimmetstiel -Wilson disease. Are virtually pathognomic of diabetes (most specific)